In normal pregnancy following characteristics of vagina are seen except:
1. More Acidic pH
2. |ed number of Lactobacilli
3. |ed Glycogen content
4. |ed number of pathogenic bacteria

Correct answer: 4. |ed number of pathogenic bacteria

Explanation: Vagina has increased vascularization and hypertrophied. Estrogen produces increase in vaginal secretions which is thick, white and acidic (pH: 3.5 to 6; due to increased production of lactic acid from glycogen by lactobacillus acidophilus). Acidic environment is unfavourable for growth of most pathogenic organisms.